Following group of drugs is the first line in the management of schizophrenia
1. Opioids
2. Antiepileptics
3. Serotonergic drugs
4. Dopamine antagonist

Correct answer: 4. Dopamine antagonist

Explanation: Most antipsychotics are dopamine antagonists, and as such they have found use in treatingschizophrenia, bipolar disorder, and stimulant psychosis.